All are features of pseudopancreatic cyst EXCEPT:
1. Follows acute pancreatitis
2. Lined by false epithelium
3. May regress spontaneously
4. Treatment of choice is Percutaneous drainage

Correct answer: 4. Treatment of choice is Percutaneous drainage

Explanation: Ans. D i.e. Treatment of choice is Percutaneous drainage Percutaneous drainage to the exterior under radiological guidance should be AVOIDED